The central nebular corneal opacity is easily treated with -.
1. Phototherapeutic keratectomy
2. Penetrating keratoplasty
3. Gas permeable contact lens
4. Soft contact lens

Correct answer: 1. Phototherapeutic keratectomy

Explanation: Nebular corneal opacity. It is a faint opacitywhich results due to superficial scars involvingBowman's layer and superficial stroma . A thin, diffuse nebula covering thepupillary area interferes more with vision than thelocalised leucoma away from pupillary area.Further, the nebula produces more discomfort topatient due to blurred image owing to irregularastigmatism than the leucoma which completelycuts off the light rays. Phototherapeutic keratectomy (PTK) performedwith excimer laser is useful in superficial (nebular)corneal opacities. REF:Comprehensive ophthalmology,AK Khurana,4th edition,pg no.122.